In starvation death, Gall bladder -
1. Distended and empty
2. Distended with bile
3. Atrophied
4. Contracted

Correct answer: 2. Distended with bile

Explanation: Ans. is 'b' i.e., Distended with bile PM appearance in death due to starvationo Complete disappearance of body fat.o Loss of mesenteric and omental fat, atrophic digestive tract, empty stomach no wider than colon, thin and transparent small intestine.o Distension of gall bladder due to accumulation of bile from lack of stimulation.